Tuberculin test is ?
1. Subcutaneous
2. Intradermal
3. Intramuscular
4. Subdermal

Correct answer: 2. Intradermal

Explanation: Ans. is 'b' i.e., Intradermal